Which one of the following phenomenon is closely associated with slow wave sleep -
1. Dreaming
2. Sleep walking
3. Atonia
4. Irregular heart rate

Correct answer: 2. Sleep walking

Explanation: Slow wave sleep (stage 3 & 4 of NREM sleep) disorders:- Sleepwalking (somnambulism), night tenor (sleep terror or pavomoctumus), Nocturnal enuresis, Bruxism (teeth grinding), and sleep talking (somniloquy).
REM sleep events/disorder :- Nightmares, nocturnal penile tumescence, Narcolepsy.